A patient presents with symptoms of cough, hemoptysis, and glomerulonephritis. His C-ANCA levels in serum were found to be raised. The most likely diagnosis is
1. Goodpasteur's syndrome
2. Classic polyarteritis nodosa
3. Wegener's granulomatosis
4. Kawasaki syndrome

Correct answer: 3. Wegener's granulomatosis

Explanation: Renal and pulmonary symptoms with positive c-ANCA suggest the diagnosis of Wegener's glomerulonephritis.The clinical syndrome of Wegner granulomatosis may be very similar to classical PAN or microscopic polyangiitis.